A child brought with suspected ingestion, presents with dry mouth, dilated pupil, difficulty in swallowing, delirium, dry and warm skin. Which among the following is the MOST likely ingested substance?
1. Anti-cholinergic
2. Sympathomimetic
3. Cholinergic
4. Alpha-blocker

Correct answer: 1. Anti-cholinergic

Explanation: This child is showing features of anticholinergic poisoning. The peripheral anticholinergic signs and symptoms are: Mydriasis Hypertension and tachycardia Dry and flushed skin with dry mucous membranes Urinary retention and decreased bowel sounds Central anticholinergic signs and symptoms: Loss of short term memory and confusion, disorientation, psychomotor agitation Visual/auditory hallucinations Incoordination and ataxia Picking or grasping movements and extrapyramidal reactions Seizures Coma with respiratory failure Ref: Irwin and Rippe's Intensive Care Medicine edited by Richard S. Irwin, page 1500